Tooth with acute pulpitis will give response to electric pulp tester?
1. High reading than adjacent tooth only
2. High reading than adjacent and contralateral tooth
3. Lower reading than adjacent teeth
4. Higher reading than opposite tooth

Correct answer: 3. Lower reading than adjacent teeth